Which of the following is a nonculturalable fungus rpt
1. Rhinosporidium
2. Candida
3. Sporothrix
4. Penicillium

Correct answer: 1. Rhinosporidium

Explanation: candida- SDA and ordinary bacteriological culture media. Sporothrix- yeast phase in tissues and in culture at 37. And in mycelial phase in culture at 25. penicillium- SDA REF:Baveja textbook of microbiology 4th edition